Probability to achieve a live birth within a single cycle is
1. Fertility
2. Fecundity
3. Fecundability
4. Sterility

Correct answer: 2. Fecundity

Explanation: Probability to achieve a live birth within a single cycle is called Fecundity.